Inactive precursors of enzymes are known as:
1. Apo enzymes
2. Coenzymes
3. Proenzymes
4. Holoenzymes

Correct answer: 3. Proenzymes

Explanation: Ans. C. ProenzymesProenzymes or zymogens are inactive enzymes which undergo irreversible covalent activation by the breakdown of one or more peptide bonds. For example, Chymotrypsin, pepsinogen and plasminogen are proenzymes that are converted to active enzymes chymotrypsin, pepsin and plasmin respectively.